A patient with known mutation in the 'Rb gene' is 'disease free' from Retinoblastoma. The patient is at highest risk of developing which of the following malignancies
1. Renal cell carcinoma
2. Osteosarcoma
3. Pinealoblastoma
4. Chondrosarcoma

Correct answer: 2. Osteosarcoma

Explanation: Ans. (b) OsteosarcomaRef: Pathology and Genetics of Tumors of Soft tissue and Bone (Who Classification of Tumors); Oncology and Basic Science' by Damrone (Lippincott/Williams); Robbins'Second site primary malignant tumors refer to non metastatic tumors arising in disease free patients. Tumors associated with retinoblastoma include osteosarcoma, fibrosarcoma, chondrosarcoma, Ewing's sarcoma, Epithelial malignant tumor, lymphoma, leukemia melanoma, brain tumors and pinealoblasstomas. Osteogenic sarcomas are the most frequent second site neoplasms in all the published series'.